Pathognomic sign of Acute Iridocyclitis is -
1. Aquous flare
2. Keratic precipitates
3. Small pupil
4. All of the above

Correct answer: 2. Keratic precipitates

Explanation: Keratic precipitates is pathognomic sign of acute iridocyclitis.